Elastic cartilage seen in
1. Pinnae
2. Articular Ends Of Bones
3. Pubic Symphysis
4. larynx

Correct answer: 1. Pinnae